All of the following are true about Crohn's disease except.
1. Cobble stone appearance
2. Skip lesions seen
3. Perianal fistula is seen
4. It is superficial inflammation involving mucosa

Correct answer: 4. It is superficial inflammation involving mucosa

Explanation: Crohn's disease is transmural inflammation involving all layers.